False about School Vision Screening Programme is
1. Screening is done by Teacher
2. Age group screened is 5-10 years
3. One teacher is for 150 students
4. Cut off for referral of a child is vision < 6/9

Correct answer: 2. Age group screened is 5-10 years